Which of the following has the highest biological value?
1. Egg
2. Soyabean
3. Milk
4. Meat

Correct answer: 1. Egg

Explanation: Biological value of a protein is defined as the ratio between amount of nitrogen retained: nitrogen absorbed during a specified time expressed as percentage. Egg has a biological value of 100 compared to 85 of meat and 75 of milk. Biological value of 100 indicates that all of the protein is retained by the body. Biological value of animal proteins like egg, milk, meat or fish is higher than vegetable proteins like proteins from wheat, maize, green grams, peanuts or beans.